In patients of substance-abuse, drugs used are:
1. Naltrexone
2. Naloxone
3. Clonidine
4. All

Correct answer: 4. All

Explanation: A i.e. Naltrexone; B i.e. Naloxone; C i.e. Clonidine